Sarcomere is present between
1. 2 successive z lines
2. 2 m lines
3. Both
4. None

Correct answer: 1. 2 successive z lines

Explanation: Sarcomere is functional unit of the muscle It is present between 2 successive z lines Ref:Guyton and Hall textbook of medical physiology 12th edition,page number: 86,87,